Presence of 1 up quark + 2 down quarks suggests the following:
1. Proton
2. Neutron
3. Electron
4. Positron

Correct answer: 2. Neutron